The chief advantage of ketorolac over aspirin is that the former :
1. Can be combined more safely with an opioid such as codeine.
2. Does not prolong bleeding time.
3. Is available in a parenteral formulation that can be used intramuscularly or intravenously.
4. Is less likely to cause acute renal failure in patients with pre-existing renal impairment.

Correct answer: 3. Is available in a parenteral formulation that can be used intramuscularly or intravenously.